Use of Siegel's speculum during an examination of the ear provides all except -
1. Magnification
2. Assessment of movement of the tympanic membrane
3. Removal of foreign body from the ear
4. As applicator for the powdered antibiotic of ear

Correct answer: 3. Removal of foreign body from the ear